Delusion that someone from high socio economic status is loving you is in -
1. Othello syndrome
2. Capgras syndrome
3. De clerambault syndrome
4. Franklin syndrome

Correct answer: 3. De clerambault syndrome